A 24 year old male came with hypopigmented skin lesions over his trunk with fine, powdery scales which becomes prominent on scratching the skin. KOH mount of the lesions shows
1. Copper penny bodies
2. Miner's wheel appearance
3. Asteroid bodies
4. Sphagetti Meatball appearance

Correct answer: 4. Sphagetti Meatball appearance